The function of the transverse tubule of the skeletal muscle is to?
1. Transmit the action potential to the sarcoplasmic reticulum
2. Carry ATP from the mitochondria
3. Conduct impulses from the muscle spindle
4. Provide energy for the actin molecule

Correct answer: 1. Transmit the action potential to the sarcoplasmic reticulum

Explanation: The function of the transverse tubule (T-tubule) is to transmit the action potential to the sarcoplasmic reticulum. This signal is relayed through the cisternae and to the sarcoplasmic reticulum which releases Ca++. Myosin heads contain ATP and provide energy to form and release crossbridges with the actin filaments. Impulses from the muscle spindles are conducted by groups I and II sensory fibers. Ref: Mescher A.L. (2013). Chapter 10. Muscle Tissue. In A.L. Mescher (Ed),Junqueira's Basic Histology, 13e.